True-regarding DNA-replication:
1. Semi conservative
2. Sister Chromatids are formed.
3. Follow base pair rule
4. All of the above

Correct answer: 4. All of the above

Explanation: All of the above